Brain temperature is most accurately measured through
1. Tympanic membrane
2. Nasopharynx
3. Scalp
4. Cornea

Correct answer: 1. Tympanic membrane

Explanation: Core temperature can be estimated bymeasuring the temperature of the lower esophagus, pulmonary artery, nasopharynx, or tympanum . Brain temperature is usually considered a "central" temperature, and in the absence of intracranial pathology, it can be estimated by measuring tympanic or esophageal temperatures Ref ganong's review of medical physiology 25e